Level V Lymph nodes include:
1. Pretracheal & Prelaryngeal  lymph nodes
2. Mediastinal lymph nodes
3. Lower juglar lymph nodes
4. Posterior triangular lymph nodes

Correct answer: 4. Posterior triangular lymph nodes

Explanation: Level IA: Submental
Level IB: Submandibular
Level II: Upper juglar
Level III: Middle juglar
Level IV: Lower juglar
Level V: Posterior triangle lymph nodes
Level VI: Central
Level VII: Mediastinal.